NOT a feature of primary hyperaldosteronism is-
1. Pedal edema
2. Diastolic hypertension
3. Polyuria
4. Hypokalemia

Correct answer: 1. Pedal edema

Explanation: potassium depletion responsibilite for weakness and fatigue, diastolic hypertension due to increased sodium reabsorption and extracellular volume expansion. Polyuria from impairment of urinary concentrating ability( Harrison 17 pg 2260